Visceral larva migrans is caused by which of the following organism?
1. Ascariasis
2. Toxocara Canis
3. Schistosomiasis
4. Clonorchis Buski

Correct answer: 2. Toxocara Canis

Explanation: Visceral larva migrans is a syndrome caused by nematodes that are normally parasitic for nonhuman host species. The most common form of visceral larva migrans is toxocariasis due to larvae of the canine ascarids Toxocara canis. T canis: The definitive host is the dog. Eggs of T canis is passed through the feces in the dogs which is accidently ingested by humans through the soil contaminated by dogs feces. These eggs hatch into larvae in the human intestine and spread to different organs especially liver, brain and eyes. The larvae eventually are encapsulated and die. Definitive diagnosis is made by visualizing the larvae in tissue. Presence of hypergammaglobulinemia and eosinophilia supports the diagnosis. Ref: Levinson W. (2012). Chapter 56. Nematodes. In W. Levinson (Ed), Review of Medical Microbiology & Immunology, 12e. Harrison's principles of internal medicine 18e chapter 216.